The rash which is not central in predisposition is:
1. Epidemic typhus
2. Measles
3. Secondary syphilis
4. Typhoid

Correct answer: 3. Secondary syphilis

Explanation: Centripetal rash (Primarily central/truncal) Mnemonic: "Red Rashes Scare Parents Very Much" Centrifugal rash (Primarily on extremities) Mnemonic: You drive CARS with your Hands and Feet Rubella CA - Coxsackie A Virus (Hand, Foot, Mouth disease) Roseola R-Rocky Mountain spotted fever Scarlet fever S-Secondary syphilis Parvovirus B19 (Erythema infectiosum) Varicella Measles